Which of the following is not a CSF finding in tubercular meningitis?
1. Low sugar
2. Lymphocytic pleocytosis
3. High protein
4. Opening pressure is low

Correct answer: 4. Opening pressure is low

Explanation: CSF findings in tubercular meningitis includes: Elevated opening pressure High leukocyte count ( 1000/microl) predominantly lymphocytes Increased protein (100 - 800/mg/dl) Low glucose AFB seen on direct smear of CSF Culture of CSF is diagnostic and is the gold standard